Most common group of diseases following mendelian inheritance are -
1. Autosomal dominant
2. utosomal recessive
3. X-linked dominant
4. X-linked recessive

Correct answer: 1. Autosomal dominant